Most common mechanism for transfer of resistance in staphylococcus aureus
1. Conjugation
2. Transduction
3. Transformation
4. Mutation

Correct answer: 2. Transduction

Explanation: Refer Goodman Gilman 11/e p 1098 Transduction is particularly important in transfer of resistance among staphylococci Multidrug resistant is transferred by conjugation